Cause of death for drawing in cold water -
1. Vagal inhibition
2. Asphyxia
3. Loss of consciousness
4. None

Correct answer: 1. Vagal inhibition

Explanation: Immersion syndrome/vagal/submersion inhibition/ hydrocution- causes death from cardiac arrest due to vagal inhibition; this is due to:
Sudden impact with very cold water on body, eardrum, nasal passage, larynx, epigastrium.
Horizontal entry in water with impact on epigastrium.



Duck diving or diving in water with feet first.